Commonest type of carcinoma anal canal is:
1. Adenocarcinoma
2. Squamous cell carcinoma
3. Adenocanthoma
4. Papillary type

Correct answer: 2. Squamous cell carcinoma

Explanation: CARCINOMA ANAL CANAL MC type of CA anal canal : SCC > BCC > Melanoma Median age at diagnosis :60 years MC symptom : Bleeding PR MC site of metastasis: Lung MC site of LN metastasis : Inguinal LNs